Oral hygiene was first practiced by:
1. Chinese
2. Etruscans
3. Sumerians
4. Sushruta

Correct answer: 3. Sumerians